For hot air oven holding time at 160degC is
1. 2 hour
2. 15 minutes
3. 30 minutes
4. 20 minutes

Correct answer: 1. 2 hour

Explanation: Recommended holding time of hot air oven At 160 C is 1.5-2 hour At 170 C for 60 min At 180 C is 30 min